Compared to resin base the main disadvantage of a metallic denture base in distal extension situation is that, metal bases:
1. Are difficult to keep clean
2. Transfer thermal changes quickly to mucosa
3. Cannot be relined in event of ridge resorption
4. Are subjected to distortion and breakage

Correct answer: 3. Cannot be relined in event of ridge resorption